Darting motility is shown by -
1. Proteus
2. Serratia
3. Vibrio
4. E. coli

Correct answer: 3. Vibrio